Face bow measures relationship of maxilla to
1. Opening & closing axis
2. Mandible
3. Zygomatic bone
4. None of the above

Correct answer: 1. Opening & closing axis